A child is suffering from watery diarrhea. The isolated organism is showing darting motility. The most probable diagnosis is -
1. Campylobacter
2. V. Cholerae
3. Enterotoxigenic E coli
4. Shigella

Correct answer: 2. V. Cholerae

Explanation: Ans. is 'b' i.e., V. Cholerae * Among the given options, Campylobacter and vibrio cholerae show darting motility.* V. Cholerae causes watery diarrhea, whereas Campylobacter usually causes dysentery.Types of MotilityMotilityOrganismsDarting* V. cholerae* Campylobacter* Gardnerella vaginalisStatelyClostridiaTumblingListeriaLashingBorreliaCorkscrew motilityT. pallidumGlidingMycoplasmaSwarmingProteus mirabilis & vulgaris, B. cereus, Cl tetani